Half life of factor 8
1. 4 hrs
2. 8 hrs
3. 24 hrs
4. 30 hrs

Correct answer: 2. 8 hrs

Explanation: Factor VIII is also called as anti hemophilic factor Its half life is 8-12 hrs Ref: Harrison's 19th edition Pgno :138